Resistance to methicllin is acquired by:
1. Increased B-lactamase production
2. Induction of channels that pump out the drug
3. Alteration in penicillin binding protein
4. Decreased absorption of drug in the gut

Correct answer: 3. Alteration in penicillin binding protein

Explanation: Methicillin, Nefcillin, oxacillin are B lactamse resistant penicillins. Resistance can occur only if there is alteration of penicillin binding protein.